Foul smelling fishy odour is seen on:
1. Trichomonas
2. Gardnerella
3. Chlamydia
4. Candidiasis

Correct answer: 2. Gardnerella

Explanation: Ans. is b, i.e. GardnerellaGardnerella is one of the organism responsible for bacterial vaginosis hence to the correct answer here